Amussat's sign is a finding in
1. Hanging
2. Drowning
3. Bandola
4. All of the above

Correct answer: 1. Hanging

Explanation: Transverse carotid intimal tears is called Amussat's sign. Commonly seen in Judicial hanging.